Expectant management of placenta previa includes all except
1. Anti-D
2. Cervical encirclage
3. Blood transfusion
4. Steroids

Correct answer: 2. Cervical encirclage

Explanation: The regimen advocated by Macafee Carried out in a tertiary care Complete bed rest with bedside toilet facilities Anaemia has to be looked for and corrected by blood transfusion Iron ,vitamins,calcium should be continued Antenatal steroids can be given to promote lung maturity Anti -D should be given (refer pgno: 132 sheila 2 nd nd edition)